In which disorder 'Flooding' is used as a behavior therapy for treatment?
1. OCD
2. Schizophrenia
3. Phobia
4. Mania

Correct answer: 3. Phobia

Explanation: Ans. C. PhobiaFlooding means patient is exposed to highest anxiety provoking stimulus as part of treatment in exposure method so that he is treated of his abnormal fear i.e. phobia. Systematic Desensitization is best method for treatment of phobia in which patient is exposed first to least anxiety provoking stimulus to higher and finally highest anxiety provoking stimulus.